DOC in type I lepra reaction with severe neuritis
1. Thalidomide
2. Clafazamine
3. Dapsone
4. Systemic Corticosteroid

Correct answer: 4. Systemic Corticosteroid

Explanation: D i.e. Systemic corticosteroid